First agent shown to be effective in maniac phase of BPD -
1. Li
2. Lamotrigrine
3. Valproate
4. Carbamezipine

Correct answer: 1. Li

Explanation: Ans. is 'a' i.e., Li o Lithium was the first effective drug for acute mania.ConditionsPreferred agentso Hypomaniao Lithium or Valproic acido Maniao Lithiumo Mania with dysphoria (mixed mania)o Valproic acido Mania with psychosiso Valproate with olanzapine or risperidone